In a lumbar sympathectomy the sympathetic chain in its usual position is likely to be confused with the -a) Ureterb) Psoas minorc) Genitofemoral nerved) Ilioinguinal nervee) Lymphatics
1. ab
2. bce
3. acd
4. ace

Correct answer: 2. bce